All are ocular emergencies except
1. Diabetic Retinopathy
2. Bacterial endophthalmitis
3. Sympathetic ophthalmitis
4. Eye injury

Correct answer: 1. Diabetic Retinopathy

Explanation: Endopthalmitis, Eye injury, Sympathetic opthalmitis all present as ocular emergency. Diabetic retinopathy does not present as ocular emegency.